MC Naughten's Rule is embodied in
1. Sec 84 IPC
2. Sec 84 CrPC
3. Sec 85 CrPC
4. Sec 85 IPC

Correct answer: 1. Sec 84 IPC

Explanation: Tests for determining criminal responsibility . (1) Me Naughten Rule (the right or wrong test; the legal test) : English Cous, in dealing with the responsibility of the mentally ill person in criminal cases, are guided by the rules laid down after the Me Naughten trial in 1843. The most important of these rules is as follows. "An accused person is not legally responsible, if it is clearly proved, that at the time of committing the crime, he was suffering from such a defect of reason from abnormality of mind, that he did not know the nature and quality of the act he was doing, or that what he was doing was wrong". This legal test has also been accepted in India as the law of criminal responsibility and is included in Sec. 84, I.P.C. which is as follows : "Nothing is an offence which is done by a person, who at the time of doing it, by reason of unsoundness of mind. incapable of knowing the nature of the act, or that he is doing what is either wrong or contrary to law. Ref:- k.s.narayan reddy;pg num:- 493